A 62-year-old diabetic patient presented with a history of progressive right-sided weakness of one-month duration. The patient was also having speech difficulty. Fundus examination showed papilledema. Two months ago, she also had a fall in her bathroom and struck her head against a wall. The most likely clinical diagnosis is -
1. Alzheimer's disease
2. Left parietal glioma
3. Left MCA territory stroke
4. Left chronic subdural haematoma

Correct answer: 4. Left chronic subdural haematoma